Bladder develops from
1. Ectoderm
2. Mesoderm
3. Endoderm
4. Neural crest cell

Correct answer: 3. Endoderm

Explanation: Ref Human embryology Inderbier singh 10 th edition Page no 292 The epithelium of urinary bladder devolep from cranial part of vesicourethral canal (endoderm). The epithelium trigone of baldder is absorbed from absorbed mesonephric ducts(mesoderm) The muscular and serous wall of the oragab are derived fron spalnchnopleuric mesoderm